Most common cause of ambigious genitalia in a female child is:
1. Placenta steroid sulfatase deficiency
2. Fetal aromatase deficiency
3. Wnt4 mutation
4. Congenital adrenal hyperplasia

Correct answer: 4. Congenital adrenal hyperplasia

Explanation: “CAH due to 21 hydroxylase deficiency is the most frequent cause of sexual ambiguity and the M/C endocrine cause of neonatal death.”
Ambiguity of sex at birth—"Cases of ambiguity of sex detected at birth are due to adrenogenital syndrome unless proved otherwise".